Most common cause of fatal ventriculomegaly is ?
1. Arnold Chiari Malformation - I
2. Arnold Chiari Malformationalformation - II
3. Aqueductal Stenosis
4. Dandy Walker Malformation

Correct answer: 3. Aqueductal Stenosis

Explanation: Most common cause of hydrocephalus and ventriculomegaly is aqueductal stenosis. Ventricles develop early in pregnancy and can be seen on a a minor self-limiting imbalance in fluid circulation and absorption that becomes compensated defects in brain development damage or loss of brain tissue Reference: GHAI Essential pediatrics, 8th edition